Which of the following has the score of 2 in Alvarado score?
1. Migratory pain
2. Tenderness
3. Rebound tenderness
4. Elevated temperature

Correct answer: 2. Tenderness

Explanation: Alvarado (MANTRELS) scores Manifestations Score Symptoms Migratory RIF pain Anorexia Nausea and vomiting 1 1 1 Signs Tenderness (RIF) Rebound tenderness Elevated temperature 2 1 1 Laboratory Leukocytosis Shift to left 2 1 Total 10 Scores Prediction 9-10 Appendicitis is certain 7-8 High likelihood of appendicitis 5-6 Equivocal 1-4 Appendicitis can be ruled out